An adult whose both lower limbs are charred along with genitalia has burns -
1. 18%
2. 19%
3. 36%
4. 37%

Correct answer: 4. 37%